All of the following paranasal sinuses drain into middle meatus, EXCEPT:
1. Lacrimal duct
2. Maxillary sinus
3. Frontal sinus
4. Anterior group of ethmoidal sinus

Correct answer: 1. Lacrimal duct